Maximum recommended external beam radiation therapy dose for a case of carcinoma cervix is –
1. 80 Gy
2. 70 Gy
3. 50 Gy
4. 35 Gy

Correct answer: 3. 50 Gy

Explanation: External-beam doses of more than 40 to 45 Gy to the central pelvis tend to compromise the dose deliverable to paracentral tissues and increase the risk of late complications. However, recently 1MRT (Intensity Modulated Radiotherapy) allows delivery of doses exceeding 60 Gy with relative sparing of adjacent critical structures".
"Using conventional fractionation, a dose of40-50 Gy in 20-25 fractions over a period of 4-5 weeks is recommended."